Which of the following conditions causes alopecia without scarring –
1. DT F
2. Herpes Zoster
3. Alopecia areata
4. Lichen planus pilaris

Correct answer: 3. Alopecia areata

Explanation: Alopecia areata is non-cicatricial alopecia.